A 30 year old woman with sudden right-sided painful red eye associated with nausea, vomiting and headache. The diagnosis is:
1. Acute congestive glaucoma
2. Endophthlmitis
3. Eale's disease
4. Trachoma

Correct answer: 1. Acute congestive glaucoma

Explanation: A i.e. Acute congestive glaucoma